Engagement of foetal head is with reference to :
1. Biparietal diameter
2. Bitemporal diameter
3. Occipito frontal diameter
4. Suboccipito frontal diameter

Correct answer: 1. Biparietal diameter

Explanation: Biparietal diameter